'Design Effect' is associated with which of the following sampling techniques -
1. Stratified sampling
2. Systemic sampling
3. Cluster sampling
4. Simple Random Sampling

Correct answer: 3. Cluster sampling

Explanation: Ans. is 'c' i.e., Cluster sampling o The Design Effect (difp refers to the difference in precision of the estimates produced by a complex design (like a cluster sample) relative to a simple random sample (SRS). o The Design Effect (diff) is the ratio of the variance of a statistic calculated from a cluster sample (or any complex sample) to that of the same statistic calculated from a simple random sample of the same size. o Design effect may be seen in all complex designs including stratified samples, but is most prominent with cluster samples